Health assistant should make reports of births and deaths occurring in their area every:
1. Day
2. Week
3. Month
4. Year

Correct answer: 2. Week

Explanation: Ans. B: Week Common job functions for the health assistants (male and female) include collecting and compiling the weekly reports of births and deaths occurring in their areas and submitting them to the MO PHC.